Which of the following is a defective virus -
1. HAV
2. HBV
3. HCV
4. HDV

Correct answer: 4. HDV